Which of the following inflammatory mediator doesn't cause fever:
1. Nitric oxide
2. Prostaglandin
3. IL-1
4. TNF-alpha

Correct answer: 1. Nitric oxide

Explanation: Pyrogens A pyrogen is a substance that induces fever. These can be either internal (endogenous) or external (exogenous) to the body. The bacterial substance lipopolysaccharide (LPS), present in the cell wall of some bacteria, is an example of an exogenous pyrogen. Endogenous Pyrogens IL 1 TNF PGs Depyrogenation may be achieved through filtration, distillation, chromatography, or inactivation.